Which of the following medications is contraindicated in patients with allergy to sulphonamides -
1. Levobunolol
2. Bimatoprost
3. Brinzolamide
4. Brimonidine

Correct answer: 3. Brinzolamide

Explanation: Ans. is 'c' i.e., Brinzolamide Acetazolamide, Dorzolamide and Brinzolamide are sulfonamide derivatives which act by inhibiting carbonic anhydrase (carbonic anhydrase inhibitor). Being sulphonamide derivatives they are contraindicated in patients with allergy to sulphonamides.